Arteriole is
1. Conducting vessel
2. Resistance vessel
3. Exchange vessels
4. Capacitance vessel

Correct answer: 2. Resistance vessel

Explanation: The small arteries and arterioles are referred to as resistance vessels because they are the principal site of the peripheral resistance A large amount of blood can be added to the venous system before the veins become distended to the point where further increments in volume produce a large rise in venous pressure. The veins are therefore called capacitance vesselsExchange across the capillary walls is essential to the survival of the tissues. Thus capillaries are exchange vesselsElastic artery is otherwise called conducting arteryRef: Ganong's Review of Medical Physiology Twenty-Third Edition Page No:543